Antacid drug that typically causes diarrhoea
1. Sodium bicarbonate
2. Magnesium hydroxide
3. Calcium carbonate
4. Aluminium hydroxide

Correct answer: 2. Magnesium hydroxide